In Death due to police firing, inquest is done by?
1. Assistant commissioner of police
2. District magistrate
3. Doctor
4. All of the above

Correct answer: 2. District magistrate

Explanation: Ans. B. District magistrate.(Ref FMT by Dr KS Narayan Reddy 29th/pg. 5; FMT by Apurva Nandy lst/pg. 4)Reddv 29th/pg. 5..........."In case of Death in Police firing, the inquest is conducted by the Magistrate".INQUEST:# Inquest means legal or judicial inquiry to ascertain matter of fact.# Types of inquest in India:- * Coroner's inquest (in Bombay & Calcutta)- * Police inquest- * Magistrate's inquestNormally Inquest in India is conducted by a police officer as per the provisions of Criminal Procedure Code.Magistrate's inquest is commonly held in following cases:But in certain conditions as outlined in Criminal Procedure Code 176 the inquest is conducted by a Magistrate. Such conditions are (Magistrate inquest, which is conducted by a District Magistrate (Collector/Deputy Commissioner),Subdivisional Magistarte (S.20 to 23 Cr. PC), especially empowered by State government (executive magistrate) is done in following cases):1. Death in Police Custody or while under Police Interrogation2. Death due to Police Firing3. Death in Prison, reformatories, Borstal school4. Death in psychiatric hospital.5. Dowry Deaths - Death of a female within 7 yrs of marriage or death in suspicious conditions6. Exhumation (S.174 (4) and S.176, Cr.P.C.)Thus, The following persons can conduct the magistrate inquest in conditions mentioned above:# Judicial Magistrate- Distric Magistrate- Sub Divisional Magistrate# Executive Magistrate - as nominated by the State Government- Collector- Deputy Collector- TahsildharAdditional Educational points:# Inquest means legal or judicial inquiry to ascertain matter of fact.# In forensic work an inquest generally means an inquiry into the cause of death, which is apparently not due to natural cause.# When a person dies it is necessary to determine the cause of death either natural or unnatural to meet with the requirement of law.# Types of inquest in India:- Coroner's inquest (Mumbai and Calcutta)- Police inquest- Magistrate inquest# In any case of death, a Magistrate may conduct an inquest, instead of or in addition to the police inquest.# The most common type of inquest in India is: Police inquest.# Coroner's inquest was abolished in India in the year 1999.# Medical examiner's inquest is supposed to be the best inquest internationally.# In India inquest is not carried by doctor.